Most common catheter-related bloodstream infection is -
1. Candida
2. Gram negative organisms
3. Coagulase positive staphylococci
4. Coagulase negative staphylococci

Correct answer: 4. Coagulase negative staphylococci

Explanation: "The most common pathogens isolated from vascular device-associated bacteremia include coagulase-negative staphylococci, S. aureus, enterococci, nosocomial gram-negative bacilli and candida."
"Staph aureus is second only to CoNS as a cause of primary nosocomial bacteremia" 
So:

M.C. cause of catheter-related bloodstream infection → coagulase-negative staphylococci
2nd MC cause of catheter-related bloodstream infection → coagulase-positive staphylococci (S. aureus)